All are the indicators of air pollution except
1. Soiling index
2. McArdle's index
3. Suspended particle count
4. SO2 concentration

Correct answer: 2. McArdle's index

Explanation: Air pollutants can be of several types : Primary pollutants: are emited directly (SO2, NO2, CO, Hydrocarbons, Particulate matter, CFCs, Ammonia, Radioactive materials, Metals like lead , cadmium, copper, Volatile organic compound) Secondary pollutants: are formed by interaction between primary pollutants (Ground level ozone, peroxyacetyl nitrate, Particulate matter formed from primary polluntants ) Chemicals indicators of air pollution: Sulphurdioxide: Best indicator of air pollution Smoke or soiling index: Air strain on a filter paper measured through photoelectric meter Grit and dust measurement Coefficient of haze Air pollution index BEST Biological indicator of air pollution: Lichens. Ref: Park 25th edition PGno: 770-772